Nesiritide is broken down by
1. Endopeptidase
2. Angiotensin converting enzyme
3. Vasopeptidase
4. Amidase

Correct answer: 1. Endopeptidase

Explanation: Nesiritide is a brain natriuretic (BNP) analog broken by neutral endopeptidase (NEP).Sacubitril is a drug inhibits NEP. Used now a days in ccf.Ref: Katzung 11th ed .pg 303